All of the following are required for IOL power calculation before surgery except -
1. Biometry
2. Keratometry
3. SRK Formula
4. Corneal topography

Correct answer: 4. Corneal topography

Explanation: Intraocular lens power calculation :- Which requires Keratometry (K), Axial length of eyebal or Biometry (L) and aconstant (A). It is calculated by SRK formula:- Power of IOL = A-2*5L-0*9K (Ref: Fedorov SN, Kolinko AI. Estimaion of optical power of the intraocular lens. Vestn Oftalmol 1967; 80:27-31)